Drugs which increase level of theophylline include:
1. chloramphenicol
2. Cimetidine
3. Allopurinol
4. All of the above

Correct answer: 4. All of the above

Explanation: Drugs which inhibit theophylline metabolism and increase its plasma level are-erythromycin, ciprofloxacin, cimetidine, oral contraceptives,allopurinol, chloramphenicol- all enzyme inhibitors dose should be reduced to 2/3rds of the usual dose KD TRIPATHI Page No:227